Which of the following is false regarding Peritonsillar abscess?
1. Usually presents with trismus
2. The accumulation of pus is lateral to the superior constrictor muscle
3. It does not involve the floor of mouth
4. It causes bulge of the uvula/soft palate

Correct answer: 2. The accumulation of pus is lateral to the superior constrictor muscle

Explanation: Ref: Diseases of the Ear Nose and Throat by PL Dhingra. 5th edn .2010 page page 278-279Explanation:Peritonsillar abscessIn peritonsillar abscess the collection of pus is between the superior constrictor and the capsule of the tonsil which lies medial to the superior constrictor * Also called as QuinsyMixed infection of aerobes and anaerobesMore common in adults.Presents with fever, odynophagia muffled or hot potato voice , halitosis & trismus.O/E unilateral tonsillar enlargement w ith congestion seen, pushing the uvula to the opposite side, enlarged and tender jugulodigastric nodes.Treatment is incision and drainage at the most prominent point or the junction of anterior pillar with the line drawn from the base of uvula.Can lead to parapharyngeal abscess.